In classical radical dissection of neck (Crile), which structure is NOT removed:
1. Cervical group of lymph nodes
2. Sternocleidomastoid muscle
3. Internal jugular vein
4. None of the above

Correct answer: 4. None of the above

Explanation: Ans. D i.e. None of the above